Development of Lymphoma in Sjogren's syndrome is suggested by all of the following, except:
1. Persistent parotid gland enlargement
2. Cyoglobulinemia
3. Leukopenia
4. High C4 Compement levels

Correct answer: 4. High C4 Compement levels

Explanation: Answer is D (High C4 complement levels): Development of Lymphoma in Sjogren's Syndrome is suggested by Low C4 Complement levels Lymphoma in Sjogren's syndrome (Extra-nodal, low grade marginal B cell Lymphomas) The development of Lymphomas in patients with Sjogren Syndrome is suggested BY : Persistent Parotid gland enlargement Purpura Leukopenia Cryoglobulinemia Low C4 complement levels Lymphoma is a well-known complication of Sjogren's syndrome; Most lymphomas are extra-nodal, low grade marginal B cell Lymphomas